A patient presents with bloody ear discharge. Which of the following can be a possibility?
1. Aural polyp
2. CSOM
3. Glomus tumour
4. All of the above

Correct answer: 4. All of the above

Explanation: Ans. is 'd' i.e., All of the above Differential diagnosis of blood stained ear discharge :* ASOM* Acute mastoiditis* CSOM* Aural polyp* Granulations* Glomus tumor